True statements about renal cell carcinoma except?
1. Asbestos, sickle cell anemia & petroleum products are risk factors
2. Clear cell cancer arise from proximal convoluted tubule
3. Cannon ball metastasis
4. Bellini duct cancer arise from loop of henle.

Correct answer: 4. Bellini duct cancer arise from loop of henle.

Explanation: Bellini duct cancer arise from the collecting duct cells in medulla & not the Loop of Henle. Risk factors of Renal Cell Carcinoma : Cigarette smokers have double the incidence of renal cell carcinoma Tobacco HTN /obesity/estrogen Asbestos Sickle cell anemia Petroleum products Clear cell carcinoma arises from Proximal convoluted Tubule. Cannon ball opacities on chest x-ray suggest metastatic malignancies such as choriocarcinoma, lung carcinoma, renal cell cancer, or endometrial carcinoma.